All the following are true about H. influenza except:
1. It can be part of normal flora of some persons
2. The serotyping is based on bacterial outer membrane protein
3. It requires Hemin and NAD for growth in culture medium
4. Type b is responsible for invasive disease

Correct answer: 2. The serotyping is based on bacterial outer membrane protein

Explanation: Ans. is 'b' i.e., The serotyping is based on bacterial outer membrane proteinBased on Capsular polysaccharide H. influenzae has 6 serotypes (a, b, c, d, e, f) b subtype is Most Dangerous.